Metabolic acidosisis caused by which of the following?
1. Hypovolemia
2. Hypokalemia
3. Hypocalcemia
4. Hypoaldosteronism

Correct answer: 4. Hypoaldosteronism

Explanation: The principal function of aldosterone is to increase sodium reabsorption in the distal tubule and collecting ducts, which causes secretion of potassium and hydrogen ions.
Hypoaldosteronism (e.g., in Addison’s disease)therefore results in a decrease in H+ secretion, which leads to the production of metabolic acidosis (and hyperkalemia and hyponatremia).
Hypoventilationproduces respiratory acidosis.
Hypokalemiacauses an increase in K+ reabsorption and an increase in H+ secretion, resulting in a metabolic alkalosis.
Hypovolemiaresults in an increase in aldosterone secretion, which can lead to an increase in H+ secretion and a metabolic alkalosis.
Hypocalcemia does not directly affect acid-base balance.